An adult old man gets burn injury to his hands .over few weeks .the burner skin heals without the need for skin grafting . The most important critical factor responsible for rapid healing in this case is
1. Remnant skin appendages
2. Underlying connective tissue
3. Minimal Prema and erythema
4. Granulation tissue

Correct answer: 1. Remnant skin appendages

Explanation: ref baley and love 23/e p189 Burn wounds of the skin result in a rupture of the cutaneous barrier that can have serious consequences such as loss of proteins and body fluids, infection, and death (Figure 65.1). Moreover, chronic wounds or improper scarring and the development of skin cancers (Owens and Watt, 2003; Perez-Losada and Balmain, 2003). A first-degree burn wound affects only the epidermis and heals spontaneously without scarring; the reconstitution of epidermal integrity results from the migration and the proliferation of from the nearby epidermis or appendages